Shortest acting muscle relaxant
1. Pancuronium
2. Atracurium
3. Mivacurium
4. Vecuronium

Correct answer: 3. Mivacurium

Explanation: MivacuriumMivacurium is the shortest acting competitive blockersIt does not need reversal -can be used as an alternative to SCh for endotracheal intubationIt is metabolized rapidly by plasma cholinesterases -prolonged paralysis can occur in pseudocholinesterase deficiency Mivacurium is the only nondepolarising (competitive) blocker that is metabolized by plasma cholinesterase (pseudocholinesterase).(Refer: stoelting's pharmacology and physiology in anaesthetic practice, 5th edition, pg no.328)